Argon Laser trabeculoplasty is done in –
1. Open angle glaucoma
2. Secondary glaucoma
3. Angle recession glaucoma
4. Angle closure glaucoma

Correct answer: 1. Open angle glaucoma

Explanation: Argon or diode laser trabeculoplasty is indicated in POAG when TOP is uncontrolled by medical therapy or when patient is non-compliant to medical therapy.